Calcified tissue is absent in:
1. Enamel
2. Dentin
3. Cementum
4. Pulp

Correct answer: 4. Pulp